“Multibacillarv" is a spectrum of disease, seen in
1. Leprosy
2. TB
3. Tetanus
4. Trachoma

Correct answer: 1. Leprosy